CoA requires
1. Pantothenic group
2. Biotin
3. Folic acid
4. Cabalamine

Correct answer: 1. Pantothenic group

Explanation: The coenzyme A is a complex molecule containing B complex vitamin pantothenic acid and a molecule of beta mercapto ethanolamine; this SH group forms thioester bond in acyl-acyl coA . To emphasize the function of the SH group, the CoA is sometimes written as CoA-SHRef: DM Vasudevan, Page no: 131